Medullary carcinoma thyroid arises from -
1. Parafollicular cells
2. Cells lining the acini
3. Capsule of thyroid
4. Stroma of the gland

Correct answer: 1. Parafollicular cells